PNH occurs due to defect in:
1. CD 59
2. CD 15
3. CD 100
4. CD 20

Correct answer: 1. CD 59